The most common cause of paraplegia of early onset of Tuberculosis of spine is:
1. Spinal artery thrombosis
2. Sudden collapse of vertebra
3. Sequestrum pressing on cord
4. Cold abscess pressing on the cord

Correct answer: 4. Cold abscess pressing on the cord

Explanation: (d)- Early onset paresis is due to inflammatory edema, granulation tissue, an abscess, caseous material. It has good prognosis. Late onset paresis is due to increasing deformity or reactivation of disease, or bony sequestrum, stenosis of the vertebral canal, fibrosis or vascular insufficiency and has poor prognosis.